Drug not used in multiple sclerosis
1. Interferon beta 1a
2. Interferon beta1b
3. Glatiramer acetate
4. Mycophenolate

Correct answer: 4. Mycophenolate

Explanation: *beta interferons act as immune modulators ,given as subcutaneous or I.M route ,help to reduce relapse rate *glatiramer acetate is parentrally administered ,act as competitor antigen ,help to reduce relapse rate of MS. Ref Harrison20th edition pg 2234